Common ocular manifestation in Trisomy 13 is -
1. Capillary hemangioma
2. Bilateral microphthalmos
3. Neurofibroma
4. Dermoid Cyst

Correct answer: 2. Bilateral microphthalmos

Explanation: Ocular manifestations of Patau's syndrome (trisomy 13) include: Microphthalmos / Anophthalmos, cyclopia, corneal opacity, cataract / congenital glaucoma, retinal dysplasia, hypertelorism, PHPV, anterior segment dysgenesis.